"Fish tank granuloma " is caused by
1. Mycobacterium.leprae
2. Mycobacterium.marinum
3. Mycobacterium.asiaticum
4. Mycobacterium.ulcerans

Correct answer: 2. Mycobacterium.marinum

Explanation: It is an atypical mycobacterial infection commonly seen in fish handlers or swimmers.Minocycline is the drug of choice.